A female presented with severe headache of sudden onset. On CT scan a diagnosis of subarachnoid heamorrhage is made. The most common site of subarachnoid haemorrhage is -
1. Middle meningeal artery
2. Berry aneurysm rupture
3. Basilar artery
4. Subdural venous sinuses

Correct answer: 2. Berry aneurysm rupture

Explanation: Ans. is ' b' ie. Berry Aneurysm rupture "Excluding head trauma the most common cause of SAH is rupture of a saccular aneurysm (Berry aneurysm or congenital aneurysm)."